Distribution of blood flow in mainly regulated by the:
1. Arteries.
2. Arterioles.
3. Capillaries.
4. Venules

Correct answer: 2. Arterioles.

Explanation: B i.e. Arterioles